Which of the following is known as Angel Dust?
1. LSD
2. Heroin
3. Charas
4. Phencyclidine

Correct answer: 4. Phencyclidine

Explanation: Phencyclidine is a NMDA receptor antagonist with abusive potential Abort called as Angel Dust.